All are true about Adenoid hypertrophy except?
1. Adenoid facies
2. Rhinolalia clausa
3. Apnoca
4. U/L hearing loss

Correct answer: 4. U/L hearing loss